Intravenous agent does not causes pain:-
1. Methohexetal
2. Propofol
3. Ketamine
4. Etomidate

Correct answer: 3. Ketamine

Explanation: IV anesthetic causing pain - Oxybarbiturate - Methohexitone- Propofol- Etomidate Among neuro muscular blockers- IV Rocuronium (pain on injection)